Which of the following is the radiological finding of a benign gastric ulcer?
1. Hampton line
2. Collar at the neck of the ulcer
3. Projection from the lumen of the stomach
4. All of the above

Correct answer: 4. All of the above

Explanation: The radiographic features that suggest a benign gastric ulcer include, Projection from the lumen of the stomach Smooth lucent line (Hampton line) or collar at the neck of the ulcer Normal rugal folds that radiate to the edge of the ulcer collection Complete and permanent healing of the ulcer on repeat radiographic or endoscopic examination of the stomach If at least two or more of these findings are present, a confident radiographic diagnosis of benign gastric ulcer is possible. Ref: Ott D.J. (2011). Chapter 10. Gastrointestinal Tract. In M.Y. Chen, T.L. Pope, D.J. Ott (Eds), Basic Radiology, 2e.